Amotivation syndrome caused by
1. Cannabis abuse
2. Opioid abuse
3. Alcohol abuse
4. Heroin abuse

Correct answer: 1. Cannabis abuse

Explanation: Psychiatric presentation---------------------Mimics panic attacks Patient on intoxication has increased activation of sympathetic nervous system Gate way drug This drug is called gate way drug as when a person uses this drug, he has a chance of increased exposure to other drugs Amotivation syndrome Patient with amotivation syndrome will lack of drive, abulia, no motivation for any activities hemp insanity insanity caused by cannabis is called hemp insanity if a person with family history of psychosis takes cannabis there is a chance a kindling of psychotic symptoms Ref.kaplon and sadock, synopsis of psychiatry, 11 th edition, pg no.645